What is the cardiac cycle duration (sec) in a man at heart rate of 75/min?
1. 0.4
2. 0.8
3. 1
4. 1.6

Correct answer: 2. 0.8

Explanation: Duration of cardiac cycle (at heart rate of 75/min) is 0.8sec out of which duration of systole is 0.27sec and diastole is 0.53sec. Length of Systole and Diastole: Cardiac muscle has the unique property of contracting and repolarizing faster when the heart rate is high, and the duration of systole decreases from 0.27 s at a heart rate of 65-0.16 s at a rate of 200 beats/min. The reduced time interval is mainly due to a decrease in the duration of systolic ejection. However, the duration of systole is much more fixed than that of diastole, and when the heart rate is increased, diastole is shortened to a much greater degree. For example, at a heart rate of 65, the duration of diastole is 0.62 s, whereas at a heart rate of 200, it is only 0.14 s Ref: Barrett K.E., Barman S.M., Boitano S., Brooks H.L. (2012). Chapter 30. The Heart as a Pump. In K.E. Barrett, S.M. Barman, S. Boitano, H.L. Brooks (Eds), Ganong's Review of Medical Physiology, 24e.